All are true about Interstitial Fibrosis, Except
1. FVC < 80% Predicted
2. FEV 1 /FVC < 0.7
3. DLCO is decreased
4. TLC is decreased

Correct answer: 2. FEV 1 /FVC < 0.7

Explanation: Answer is B (FEV1/FVC < 0.7): Interstitial lung disease like interstiul fibrosis are characterized by a normal or elevated FEV IFVC ratio which is characteristically> 0.7. PFT results comparing obstructive and restrictive disease (may not be applicable for all forms of lung (disease) FEVI=foreed expiratory volume in one second; FVC=Forced Vital Capacity; FEF25_75=Foreed Expiratory Flow at 25%=75% vital capacity; TLC= Total Lung Capacity; DLCO=Diffusion Capacity of the Lung for Carbon monoxide.